All of the following are a part of Samter's triad except-
1. Aspirin sensitivity
2. Asthma
3. Ethmoidal polyposis
4. Anosmia

Correct answer: 4. Anosmia

Explanation: Ans. is 'd' i.e., Anosmia Samter's triado It is a medical condition consisting of asthma, aspirin sensitivity, and nasal/ethmoidal polyposis. It occurs in middle age (twenties and thirties are the most common onset times) and may not include any allergieso Most commonly, the first symptom is rhinitiso The disorder typically progesses to asthma, then polyposis, with aspirin sensitivity coming lasto The aspirin reaction can be severe, including an asthma attack, anaphylaxis, and urticaria in some cases. Patients typically react to other NSAIDS such as ibuprofen, although paracetamol is generally considered safeo Anosmia (lack of smell) is also typical, as the inflammation reaches the olfactory receptors in the nose.